Action of superior rectus:
1. Abduction and intortion
2. Adduction and extortion
3. Adduction and intortion
4. Abduction and extortion

Correct answer: 3. Adduction and intortion

Explanation: Superior rectus muscleIt is innervated by the superior division of the oculomotor nerve (Cranial Nerve III).In the primary position (looking straight ahead), the superior rectus muscle's primary function is elevation, although it also contributes to intorsion and adduction.